Mallory's degeneration seen in alcoholic liver disease is a form of
1. Hyaline degeneration
2. Amyloid degeneration
3. Hydropic degeneration
4. Fatty degeneration

Correct answer: 1. Hyaline degeneration

Explanation: Examples of intracellular hyaline degeneration are,

Mallory's hyaline in the hepatocytes in alcoholic liver cell injury.
Zenker's degeneration in rectus abdominalis muscle in typhoid fever.
Russell bodies in plasma cells.